Which does not act by blocking NMDA receptors?
1. Methoxetamine
2. Methadone
3. Ketamine
4. Diltiazem

Correct answer: 4. Diltiazem

Explanation: Ans. is 'd' i.e., Diltiazem Drugs acting by blocking NMDA receptors are: Methoxetamine Phencyclidine Methadone Dizocilpine Felbamate Dextropropoxyphene Acamprost Tramadol Ketamine Pethidine Atomoxetine Nitrous oxide